Treatment of choice for tropical splenomegaly is :
1. Chloroquine ' 6 months
2. Mefloquine ' 3 months
3. Proguanil
4. Pyrimethamine + sulphadoxine X 1 month

Correct answer: 3. Proguanil

Explanation: Ans. is 'c' Proguanil Tropical splenomegaly is a chronic complication of malaria. Some residents of malaria endemic areas in tropical Asia and Africa exhibit an abnormal immunological response to repeated infections with malaria.In these patients IgM antibodies develop against CD8 and CD5 cells. There is increase ratio of CD4/CD8 cells.These disturbances in immunological process results in splenomegaly. Anaemia and pancytopenia can also occur.